A 6 year old child presented with history of recurrent upper respiratory tract infections, mouth breathing, nasal obstruction hearing impairment. with high arched palate. The management will be:
1. Tonsillectomy
2. Adenoidectomy with grommet insertion
3. Myringotomy with grommet insertion
4. Myringotomy

Correct answer: 2. Adenoidectomy with grommet insertion

Explanation: Ans. b. Adenoidectomy with grommet insertion